True about Migraine in children are all except
1. Preceding aura
2. Recurrent head ache lasting 2-72 hours per episode
3. Bilateral head ache
4. Daily head ache with vomiting upon walking in the morning, improves when the child is out of the bed

Correct answer: 4. Daily head ache with vomiting upon walking in the morning, improves when the child is out of the bed

Explanation: Answer: d) Daily head ache with vomiting upon walking in the morning, improves when the child is out of the bed (NELSON 20TH ED, P-2866; NELSON ESSENTIALS 7TH ED, P-617)MIGRAINECompared to adults, pediatric migraine is shorter in duration and has a bilateral, often bifrontal, location.Moderate to severe, pounding or throbbing pain that are aggravated by activity and last 1 to 72 hoursMigraine can also be associated with an aura that may be typical (visual, sensory, or dysphasic) or atypical (i.e., hemiplegic, "Alice in Wonderland" syndrome)Aura can precede or coincide with the headache and typically persists for 15 to 30 minutes.Vomiting and headache caused by increased intracranial pressure are frequently present on first awakening and remit with maintenance of upright posture.In contrast, if a migraine is present on first awakening (a relatively infrequent occurrence in children), getting up and going about normal, upright activities usually makes the headache and vomiting worse